Lymphogranuloma venerum is caused by -
1. Chlamydia trachomatis
2. Calymmatobacter granulomatis
3. Haemophilus ducreyii
4. Treponema pallidum

Correct answer: 1. Chlamydia trachomatis

Explanation: Ans. is 'a' i.e., Chlamydia trachomatis